Why do direct filling golds have to be flamed before insertion into the cavity preparation?
1. To remove contaminants
2. To make gold soft
3. To form oxide layer on the surface
4. All of the above

Correct answer: 1. To remove contaminants

Explanation: Proper desorption is a matter of heating long enough at a temperature that removes contaminants and in the case of powdered gold, that burns away the wax.
Ref:Phillip’s Science of Dental Materials ed 12 pg 414